Lady with central obesity & bad. Skin showing purple striae -
1. Corm's syndrome
2. Cushing's syndrome
3. Addison's disease
4. Hypothyroidism

Correct answer: 2. Cushing's syndrome